Which among the following does not cause hyperpyrexia?
1. MAO Inhibitors
2. Alcohol
3. Atropine
4. Amphetamine

Correct answer: 2. Alcohol

Explanation: Ans. (B) Alcohol(Ref: Modi's Medical Jurisprudence and Toxicology, 23th/e p313)Ethyl alcohol causes vasodilatation and peripheral circulation increases, resulting in a feeling of warmth, but at the same time there will be loss of body heat from the skin.In atropine poisoning, Pyrexia (hot as a hare) is a common event and the temperature may be raised by 1 to 6degF.When taken in excess, Amphetamine produces a dry mouth, loss of appetite, irritability, dizziness, loss of sleep, dilated pupils, severe chest pain, restlessness, tachycardia, hypertension, rise of temperature and death.MAOI toxicity may present as opisthotonus, muscle rigidity, diaphoresis, hypertension, chest pain, diarrhea, hallucinations, combativeness, confusion, marked hyperthermia and trismus.